Heimlich's maneuver is used in
1. Upper airway obstruction by foreign body
2. BPPV
3. Eustachian tube patency test
4. Tympanic membrane integrity test

Correct answer: 1. Upper airway obstruction by foreign body

Explanation: Heimlich maneuverAbdominal thrusts also called the Heimlich maneuver, is a first aid procedure used to treat upper airway obstruction (or choking) by foreign objects. The Heimlich maneuver is named after Dr. Henry Heimlich, who first described it in 1974.Ref: PL Dhingra, Diseases of Ear, Nose & Throat, 7th edition, pg no. 367